Tolerance develops by which of the following drug:
1. Calcium channel blockers
2. ACE inhibitors
3. Nitrates
4. K channel openers

Correct answer: 3. Nitrates

Explanation: Ans. C. NitratesTolerance develops to nitrates when they constantly present in blood. Therefore, it is preferred via sublingual route as it act for short period of time.